Lipid lowering drug that significantly reduces lipo protein-a levels is?
1. Fenofibrate
2. Gemfibrosil
3. Rosuvastatin
4. Nicotinic acid

Correct answer: 4. Nicotinic acid

Explanation: Nicotinic acid is B3 vitamin which in higher doses reduce plasma lipids. When nicotinic acid is given, TGs and VLDL decrease rapidly, followed by a moderate fall in LDH-CH and total CH. It also reduces Lp(a) which is considered more atherogenic. It acts by inhibiting lipoprotein lipase produced from the endothelium From essentials of medical pharmacology K D Tripathi 7th edition page no 640